Which of the following is most commonly used for the treatment of early carcinoma of vocal cord?
1. Radical radiotherapy
2. High-dose chemotherapy
3. Total laryngectomy
4. Hemilaryngectomy followed by chemotherapy

Correct answer: 1. Radical radiotherapy

Explanation: Ans. a (Radical radiotherapy) (Ref. ENT secrets 3rd ed., 277)LARYNGEAL CANCER: TREATMENT OPTION OVERVIEWThree types of standard treatment are used:Radiation TherapyRadiation therapy is a cancer treatment that uses high-energy X-rays or other types of radiation to kill cancer cells. There are two types of radiation therapy. External radiation therapy uses a machine outside the body to send radiation toward the cancer. Internal radiation therapy uses a radioactive substance sealed in needles, seeds, wires, or catheters that are placed directly into or near the cancer. The way the radiation therapy is given depends on the type and stage of the cancer being treated.SurgerySurgery (removing the cancer in an operation) is a common treatment for all stages of laryngeal cancer. The following urgical procedures may be used:OperationCommentsCordectomy# Surgery to remove the vocal cords only.Supraglottic laryngectomy# Surgery to remove the supraglottis only.Hemilaryngectomy# Surgery to remove half of the larynx. A hemilaryngectomy saves the voice.Partial laryngectomy# Surgery to remove part of the larynx. A partial laryngectomy helps keep the patient's ability to talk.Total laryngectomy# Surgery to remove the whole larynx. During this operation tracheostomy is done.Laser surgery# A surgical procedure that uses a laser beam (a narrow beam of intense light) as a knife to make bloodless cuts in tissue or to remove a surface lesion such as a tumor.ChemotherapyTreatment options by stage:Stage I Laryngeal Cancer# Treatment of stage I laryngeal cancer depends on where cancer is found in the larynx.-If cancer is in the supraglottis, treatment may include the following:# Radiation therapy.# Supraglottic laryngectomy.-If cancer is in the glottis, treatment may include the following:# Radiation therapy.# Cordectomy.# Partial laryngectomy, hemilaryngectomy, or total laryngectomy.# Laser surgery.-If cancer is in the subglottis, treatment may include the following:# Radiation therapy with or without surgery.# Surgery alone.Stage II Laryngeal Cancer# Treatment of stage II laryngeal cancer depends on where cancer is found in the larynx.-If cancer is in the supraglottis, treatment may include the following:# Radiation therapy.# Supraglottic laryngectomy or total laryngectomy with or without radiation therapy.- If cancer is in the glottis, treatment may include the following:# Radiation therapy.# Partial laryngectomy, hemilaryngectomy, or total laryngectomy.# Laser surgery.- If cancer is in the subglottis, treatment may include the following:# Radiation therapy with or without surgery.# Surgery alone.Stage III Laryngeal Cancer# Treatment of stage III laryngeal cancer depends on where cancer is found in the larynx.- If cancer is in the supraglottis or glottis, treatment may include the following:# Surgery with or without radiation therapy.# Radiation therapy with or without surgery.# A clinical trial of chemotherapy combined with radiation therapy, with or without laryngectomy.- If cancer is in the subglottis, treatment may include the following:# Laryngectomy plus total thyroidectomy and removal of lymph nodes in the throat, usually followed by radiation therapy.# Radiation therapy with or without surgery.# A clinical trial of radiation therapy.# A clinical trial of chemotherapy.Stage IV Laryngeal Cancer# Treatment of stage IV laryngeal cancer depends on where cancer is found in the larynx.- If cancer is in the supraglottis or glottis, treatment may include the following:# Total laryngectomy with radiation therapy.# Radiation therapy with or without surgery.# A clinical trial of chemotherapy combined with radiation therapy, with or without laryngectomy.- If cancer is in the subglottis, treatment may include the following:# Laryngectomy plus total thyroidectomy and removal of lymph nodes in the throat, usually with radiation therapy.# Radiation therapy.# A clinical trial of radiation therapy.# A clinical trial of chemotherapy combined with radiation therapy.